A large volume of gas is seen at sub diaphragm level in x ray presentation diagnosis is
1. Peritoneal perforation
2. Intestinal obstruction
3. Paralytic ileus
4. Intussusception

Correct answer: 1. Peritoneal perforation

Explanation: A. i.e. (Peritoneal perforation) (994-B & L 25th) Radiological Findings * Peritoneal perforation (Peritonitis) - Erect chest x-ray shows free air under the diaphragm (perforated viscus * Presence of dilated gas-filled loops of bowel or show free gas. * Intestinal obstruction - multiple gas-fluid levels** are most important criteria, ladder-like pattern * Paralytic ileus - shows gas -filled loop of intestine with multiple fluid levels * Intussusception - shows an absence of caecal gas shadow and increased gas shadows in the small intestine